Wernikes encephalopathy features are all except -
1. Confusion
2. Ataxia
3. Aphasia
4. Nystagmus

Correct answer: 3. Aphasia

Explanation: Confusion, Ataxia and nystagmus are seen in Wernicke's encephalopathy.
Aphasia is not a feature.